All are used in treatment of endometriosis except:
1. Medroxyprogesterone acetate
2. Tibolone
3. OCP
4. Danazol

Correct answer: 2. Tibolone